Following is a contact poison –
1. BHC
2. BaSO4
3. A + B of above
4. Paris green

Correct answer: 1. BHC